A 40 year old tobacco chewer was given a routine oral examination; on examination non-scrapable white patch was noticed in his left buccal mucosa.

Disease can be further evaluated by
1. Toluidine blue solution
2. Rose Bengal stains
3. Caleoflaw white stains
4. None of the above

Correct answer: 1. Toluidine blue solution